Most common form of diabetic neuropathy is:
1. Cranial neuropathies
2. Radiculopathies
3. Sensorimotor polyneuropathy
4. Limb mononeuropathies

Correct answer: 3. Sensorimotor polyneuropathy

Explanation: Ans. C: Sensorimotor polyneuropathy The overall prevalence of neuropathy is 66% for type I and 59% for type II diabetes.It can be divided into: Symmetric-may present as small-fiber involvement (dysthesia of feet) or autonomic dysfunction (sexual impotence) but often both occur together. Asymmetric neuropathies are divided into - Asymmetric abrupt onset neuropathies-diabetic truncal radiculoneuropathy, diabetic lumbosacral radiculoplexus neuropathy and oculomotor neuropathy. Cranial neuropathies-The 3rd,6th and 4th cranial nerve (in decreasing order of frequency) are involved. - Neuropathy of gradual onset includes entrapment/compression neuropathies. Diabetic Sensorimotor polyneuropathy (DSPN), a type of symmetric diabetic neuropathy is by far the most common form of diabetic neuropathy. Its prevalence is 55% for type I and 45% for type II diabetes. Initial symptoms includes numbness, tingling, burning or prickling sensation affecting the toes and feet.